While getting blood pressure tested patient reports abnormal feeling in fingertips followed by involuntary spasm of fingers likely patient has
1. Hysterical spasms
2. Pressure spasm of muscles due to reuropaxia
3. Hypocalcemic tetany
4. Ischemic muscle spasms

Correct answer: 3. Hypocalcemic tetany

Explanation: Trousseaus sign can be seen in hypocalcemic tetany. There is spasm of muscles of upper extremity that causes flexion of wrist and thumb with extension of the fingers. It can be produced by occluding the circulation for a few minutes with a blood pressure cuff.Ref: Ganong's Review of medical physiology, 24th edition.Pg no.382